Oral contraceptive failure occurs by intake of:
1. Rifampicin
2. Penicillin
3. Chloroquine
4. Metronidazole

Correct answer: 1. Rifampicin

Explanation: Ans. is 'a' Rifampicin Rifampicin is an enzyme inducer. It induces the metabolism of oral contraceptives and reduce cone, of OCP's in the body.